The most common cause of Addison's disease is -
1. Autoimmune adrenalitis
2. Meningococcal septicemia
3. Malignancy
4. Tuberculosis

Correct answer: 1. Autoimmune adrenalitis

Explanation: Most common cause (60%-70%) of primary adrenocorticol insufficiency (Addison'discases) is autoimmune adrenelitis.
Other common cause are.

Tuberculosis → Most common cause of Addison's disease in India.
AIDS
Metastatic cancers